All of the following disorders are inherited in autosomal recessive mode, except:
1. Sandhoff's disease
2. Niemann-Pick disease
3. Gaucher's disease
4. Fabry's disease

Correct answer: 4. Fabry's disease

Explanation: All Sphingolipidoses are autosomal recessive except Fabry's which is X- linked recessive Neutral glycosphingolipidoses Disease Deficiency Accumulation Clinical Feature Fabry's disease a-Galactosidase Globotriaosylceramide X-linked recessive Renal failure, Angiokeratomas No Intellectual disability Gaucher's disease b-Glucosidase Glucosylceramide No Intellectual disability Hepatosplenomegaly, Osteoporosis Niemann-Pick disease Sphingomyelinase Sphingomyelin Intellectual disability, Hepatosplenomegaly, death during infancy Sandhoff's disease Hexosaminidase A and B Globoside Macrocephaly Hyperacusis Cherry-red spot